Complete Rx of intussception is indicated by
1. Free passage of barium in the terminal ileum
2. Passage of feces and flatus along with barium
3. Improvement of clinical condition
4. None

Correct answer: 1. Free passage of barium in the terminal ileum